Glucosuria during routine investigation of antenatal visit indicates that there is need for :
1. Gestational diabetes treatment
2. Dietary control
3. Insulin treatment
4. Glucose tolerance test

Correct answer: 4. Glucose tolerance test

Explanation: Glucose tolerance test